All are a complication of Typhoid ulcer, EXCEPT -
1. Perforation
2. Stricture
3. Haemorrhage
4. Sepsis

Correct answer: 2. Stricture